Flowcytometry is best used in the measurement of:
1. Serum level of LDH
2. T4, T8 serum ratio in AIDS
3. To count the RBCs in blood
4. Separation of proteins

Correct answer: 2. T4, T8 serum ratio in AIDS